The intra-abdominal pressure during laparoscopy should be set between -
1. 5-8 mm of Hg
2. 10-15 mm of Hg
3. 20-25 mm of Hg
4. 30-35 mm of Hg

Correct answer: 2. 10-15 mm of Hg

Explanation: Ans. is (b) i.e. 10-15mm of Hg The infra-abdominal pressure during laproscopic surgery is monitored by insufflator. The pressure is set between 1215 mm of Hg. because at higher pressures there is risk of hypercarbia, acidosis and adverse hemodynamic and pulmonary effects.